Which of the following doesn't occur during the processing of RNA?
1. Terminal addition
2. Nucleoside modification
3. Nucleoside cleavage
4. Chemical hydrolysis

Correct answer: 4. Chemical hydrolysis

Explanation: Precursor tRNA is processed to form mature tRNA. Alterations during processing are of three types: nucloelytic reactions, nucleoside modifications, terminal additions of nucleotides. Chemical hydrolysis is not a part of RNA processing. Poly A tailing and 5'capping occurs in the processing of RNA. Methylation and deamination are known to occur. Introns will be removed after cleavage in the process.